During cap stage signalling in odontogenic epithelium is done by?
1. Dental follicle
2. Enamel knot
3. Dental papilla
4. Inner enamel epithelium

Correct answer: 2. Enamel knot